Molluscum contagiosum virus belongs to ?
1. Poxviruses
2. Herpesviruses
3. Picornaviruses
4. Adenovirus

Correct answer: 1. Poxviruses

Explanation: Ans. is 'a' i.e., Poxviruses